The bronchoscope is best sterilized with
1. Ethylene oxide
2. 2% Glutaraldehyde
3. Betadine
4. Infrared radiation

Correct answer: 2. 2% Glutaraldehyde

Explanation: A fiberoptic scope like bronchoscope, the flexible laryngoscope should be sterilized with 2% glutaraldehyde.